Under NRHM, post-natal visits are conducted by ASHA as Home Based Newborn Care. In case of institutional delivery, these visits should be conducted by ASHA on days
1. 3,7,14,21,28,42
2. 1,3,7,14,21,42
3. 3,7,14,28,35,42
4. 3,7,10,14,21,42

Correct answer: 1. 3,7,14,21,28,42

Explanation: Under NRHM, postnatal visits by ASHA are done k/a HBNC (Home based New-born care) 6-7 visits are done 6 visits in case of institutional delivery on day 3, 7, 14, 21, 28, 42 7 visits in case of home delivery on day 1, 3, 7, 14, 21, 28, 42